All are reversible causes of dementia except
1. Hypothyroidism
2. Hydrocephalus
3. Meningoencephalitis
4. Alzheimer's disease

Correct answer: 4. Alzheimer's disease

Explanation: Alzheimer's is the commonest cause of dementia The diagnosis of Alzheimer's dementia is by an exclusion of all other causes of dementia as there is no distinct diagnostic clinical features or laboratory investigations. At present Alzheimer's dementia is not considered a treatable disorder (Ref: a short textbook of psychiatry, Niraj Ahuja, 7th edition, pg no.23)